Most common malignant tumor of parotid gland is
1. Mucoepidermoid cancer
2. Adenoid cyst cancer
3. Acinic cell tumor
4. Lymphoma

Correct answer: 1. Mucoepidermoid cancer

Explanation: The major salivary glands include the parotid glands, subman- dibular glands, and sublingual glands. There are also approxi- mately 750 minor salivary glands scattered throughout the submucosa of the oral cavity, oropharynx, hypopharynx, larynx, parapharyngeal space, and nasopharynx. Salivary gland neoplasms are rare and constitute 3% to 4% of head and neck neoplasms. Most neoplasms arise in the parotid gland (70%), whereas tumors of the submandibular gland (22%) and sublingual and minor salivary glands (8%) are less common Malignant Salivary gland tumors Acinic cell carcinoma Mucoepidermoid carcinoma Adenoid cystic carcinoma Polymorphous low-grade adenocarcinoma Epithelial-myoepithelial carcinoma Basal cell adenocarcinoma Sebaceous carcinoma Papillary cystadenocarcinoma Mucinous adenocarcinoma Oncocytic carcinoma Salivary duct carcinoma Adenocarcinoma Myoepithelial carcinoma Malignant mixed tumor Squamous cell carcinoma Small cell carcinoma Lymphoma Metastatic carcinoma Carcinoma ex pleomorphic adeno Malignant salivary tumors are staged according to size; T1 is smaller than 2 cm, T2 is 2 to 4 cm, T3 is larger than 4 cm (or any tumor with macroscopic extraparenchymal extension), and T4 involves invasion of surrounding tissues. Malignant salivary tumors are listed in Box 33-1. Mucoepidermoid carcinoma is the most common malignant tumor of the parotid gland and can be divided into low-grade and high-grade tumors. High-grade lesions have a propensity for regional and distant metastases and corre- sponding shorter survival rates than low-grade mucoepidermoid carcinomas Ref: Sabiston 20th edition Pgno: 807